All of the following autoimmune disorder are more common in females except
1. ITP
2. Multiple sclerosis
3. Type I diabetes
4. Scleroderma

Correct answer: 3. Type I diabetes

Explanation: Most autoimmune disorders occur more commonly in women than in men; these include autoimmune thyroid and liver diseases, lupus, rheumatoid arthritis (RA), scleroderma, multiple sclerosis (MS), and idiopathic thrombocytopenic purpura. However, there is no sex difference in the incidence of type 1 DM